An 18 year old girl is found to be hypertensive. She has a masculine body and clitoromegaly. Which of the following condition causes hyperandrogenism and hypertension?
1. 11-hydroxylase deficiency
2. 17 beta hydroxylase deficiency
3. Turner syndrome
4. Rett syndrome

Correct answer: 1. 11-hydroxylase deficiency

Explanation: Some patients with hyperandrogenism and hypertension have 11-hydroxylase deficiency. This is distinguished from cortisol resistance by high cortisol serum levels in the latter and by high serum 11-deoxycortisol levels in the former. Ref: Fitzgerald P.A. (2013). Chapter 26. Endocrine Disorders. In M.A. Papadakis, S.J. McPhee, M.W. Rabow (Eds), CURRENT Medical Diagnosis & Treatment 2013.